Condition associated with lack of a single pelvic ala is :
1. Robert's pelvis
2. Naegele's pelvis
3. Rachitic pelvis
4. Osteomalacic pelvis

Correct answer: 2. Naegele's pelvis

Explanation: Ans. is b i.e. Naegele's pelvis Pelvis Naegele's pelvis Robert's pelvis Rachitic pelvis Osteomalacic pelvis Kyphotic pelvis Characteristics feature Single Ala present Both Ala absent Seen in Ricketis pelvis. Reniform pelvis Seen in osteomalacia - triradiate pelvis Seen in kyphosis - funnel shaped pelvis